All are ocular features of Albinism except
1. Photophobia
2. Nystagmus
3. Glaucoma
4. Reduced vision

Correct answer: 3. Glaucoma

Explanation: Albinism/Occulo-cutaneous disorder - Defective melanogenesis Depigmented skin and hair Autosomal recessive, mutation in Tyrosinase (TYR) gene Associated with photophobia and increased risk of skin malignancies(SCC) The ocular findings in OCA correlate with the degree of hypopigmentation and include decreased visual acuity, nystagmus, photophobia, strabismus, and a lack of normal binocular vision.